NADPH in extramitochondrial site helps in the production of:
1. Ketone bodies
2. Steroids
3. Glycogen
4. None

Correct answer: 2. Steroids

Explanation: NADPH in extramitochondrial site helps in the production of steroids NADPH Formed mainly by HMP in cytoplasm Used in biosynthesis reactions like synthesis of Steroids, Fatty acids, Cholesterol Destruction of H2O2 in RBCs.